Bleeding is fetal origin in:
1. Vasa previa
2. Placenta accreta
3. Placenta percreta
4. Placenta increta

Correct answer: 1. Vasa previa

Explanation: Ans: a (Vasa previa) Ref: Dutta, 6th ed, p. 220In velamentous insertion of cord, umbilical cord is attached to the membranes and not to the placenta.So, when the blood vessels traverse through the membranes overlying internal os, it may be injured during rupture of membranes. Then bleeding will be of fetal origin, called as vasa previa